All the following are features of Cardiac muscle Except
1. Striated
2. Large T tubules
3. Troponin system present
4. Caldesmon is important regulatory protein

Correct answer: 4. Caldesmon is important regulatory protein

Explanation: Some Differences among Skeletal, Cardiac, and Smooth MuscleNoSkeletal MuscleCardiac MuscleSmooth Muscle1StriatedStriatedNonstriated2No syncytiumSyncytialSyncytial3Small T tubulesLarge T tubulesGenerally rudimentary T tubules4Sarcoplasmic reticulum well developed andCa2+ pump acts rapidlySarcoplasmic reticulum present andCa2+ pump acts relatively rapidlySarcoplasmic reticulum often rudimentaryand Ca2+ pump acts slowly5Plasmalemma contains few hormonesreceptorsPlasmalemma contains a variety ofreceptors (eg, a- and b-adrenergic)Plasmalemma contains a variety ofreceptors (eg, a- and b-adrenergic)6Nerve impulse initiates contractionHas intrinsic rhythmicityContraction initiated by nerve impulses,hormones, etc7Extracellular fluid Ca2+ not important forcontractionExtracellular fluid Ca2+ important forcontractionExtracellular fluid Ca2+ important forcontraction8Troponin system presentTroponin system presentLacks troponin system; uses regulatoryhead of the myosin9Caldesmon not involvedCaldesmon not involvedCaldesmon is important regulatory protein10Very rapid cycling of the cross-bridgesRelatively rapid cycling of the cross bridgesSlow cycling of the cross-bridges permitsslow, prolonged contraction and lessutilization of ATPRef: Harper's Biochemistry; 30th edition; Chapter 51; Muscle & the cytoskeleton; Table 51-3